Atropine should never be started when the patient is cyanosed due to the danger of -
1. Cerebral edema
2. Respiratory arrest
3. Ventricular fibrillation
4. None of the above

Correct answer: 3. Ventricular fibrillation

Explanation: When cyanosis is present, maximum oxygenation should be given before giving atropine to avoid increased risk of ventricular tachycardia associated with hypoxia.